When are the axons of the corticospinal tracts fully myelinated?
1. In the late embryonic period
2. In the mid-fetal period
3. At birth
4. By the end of the second postnatal year

Correct answer: 4. By the end of the second postnatal year

Explanation: Axons of the corticospinal tracts are fully myelinated by the end of the second postnatal year *Babinski's sign (extensor plantar reflex) is usually elicitable before myelination of the corticospinal tracts -reflects poor cortical control of motor function by the immature brain.